The microarray is used to
1. Study multiple genes
2. Study disease
3. Study organism
4. Study blood group

Correct answer: 1. Study multiple genes

Explanation: Microarray - A type of hybridization technique which utilizes multiple oligonucleotide probes to study multiple genes within a short period of time.(Ref: Robbins 8/e p174)